TMJ is supplied by:
1. Auriculotemporal nerve
2. Buccal branch of facial nerve
3. Inferior alveolar nerve
4. All of the above

Correct answer: 1. Auriculotemporal nerve